Which is an independent bone?
1. Superior turbinate
2. Middle turbinate
3. Inferior turbinate
4. All

Correct answer: 3. Inferior turbinate

Explanation: Nasal turbinates are functionally important structures that extend from the lateral nasal walls to nasal cavities. The middle, superior and, in some cases, supreme turbinates are part of the ethmoid bone, while the inferior turbinates are a pair of independent bones. Lateral nasal wall anomalies are generally incidentally detected asymptomatic lesions. The most common variation of the lateral nasal wall are pneumatizations of turbinates.